Autolysis is due to the activity of
1. Lecithinase
2. Lipase
3. Lysosomes
4. ATPase

Correct answer: 3. Lysosomes

Explanation: Autolysis: Autolysis is self-digestion of tissues. Soon after death, cell membranes become permeable and breakdown, with release of cytoplasm containing enzymes. Lysosomes and their digestive enzymes (mainly hydrolases) are released from the cells.